A 40-year-old male complains of weakness, weight loss, and abdominal pain. On examination, the patient has diffuse hyperpigmentation and a palpable liver edge. Polyarthritis of the wrist and hips is also noted. FBS is 185 mg/dl. The most likely diagnosis is?
1. Type I DM
2. Pancreatic carcinoma
3. Addison's disease
4. Hemochromatosis

Correct answer: 4. Hemochromatosis

Explanation: Hemochromatosis Hemochromatosis is a disorder of iron storage that results in deposition of iron in parenchymal cells. The liver isusually enlarged, and excessive skin pigmentation is present in 90% of symptomatic patients at the time of diagnosis. Diabetes occurs secondary to direct damage of the pancreas by iron deposition. Arthropathy develops in 25 to 50% of cases. Other diagnoses listed could not explain all the manifestations of this patient's disease process. Addison's disease can cause weight loss and hyperpigmentation but does not affect the liver or joints; it is associated with hypoglycemia rather than diabetes mellitus.